Most common site of brain metastasis?
1. Brainstem
2. Cerebellum
3. Cerebral cortex
4. Thalamus

Correct answer: 3. Cerebral cortex

Explanation: Cerebral cortex REF: Sabiston's text book of surgery 18th ed chapter 72 Metastatic Brain Tumors: Metastatic brain tumors are the most common tumors of the brain. The distribution of metastases in the brain is directly related to the amount of blood flow to each part of the brain. Eighty percent of brain metastases occur in the cerebral hemispheres mainly the frontal lobes 15% occur in the cerebellum and 5% occur in the brainstem. The most common primary sites are lung (50%), breast cancer (15%-20%), unknown primary cancer (10%-15%), melanoma (10%), and colon cancer (5%). Metastases to the brain are multiple in more than 70% of cases, but solitary metastases do occur. Dural metastases may constitute as much as 9% of total CNS metastases